Which one of the following impression materials is elastic, sets by a chemical reaction and is catalyzed by chloroplatinic acid
1. Condensation silicone
2. Polyether
3. Polysulfide
4. Poly vinyl siloxane

Correct answer: 4. Poly vinyl siloxane